Agent responsible for increasing factor VIII activity in haemophilia is
1. a) Epsilon amino caproic acid
2. b) Tranexamic acid
3. c) Avitene
4. d) Deamino D Arginine vasopressin

Correct answer: 4. d) Deamino D Arginine vasopressin